Full blown immunodeficiency syndrome is characterized by -
1. High viral titres with low CD4 count
2. Low viral titres with low CD4 count
3. High viral titres with high CD4 count
4. High CD4 and high CD8

Correct answer: 1. High viral titres with low CD4 count

Explanation: Any HIV-infected individual with a CD4+ T cell count of <200/mL has AIDS by definition, regardless of the presence of symptoms or opportunistic diseases . (Harrison's Principles of internal medicine, 20 th edition, page 1506)